Relative risk can be calculated by:
1. Incidence of disease amongst exposed/incidence of disease amongst non-exposed
2. Incidence of disease amongst non-exposed/ incidence of disease amongst exposed
3. Incidence of disease amongst exposed/total population of that area
4. Incidence of disease amongst non-exposed/total population of that area

Correct answer: 1. Incidence of disease amongst exposed/incidence of disease amongst non-exposed

Explanation: Ans. A: Incidence of disease amongst exposed/incidence of disease amongst non-exposed